Following anterior dislocation of the shoul-der, a pt develops weakness of flexion at elbow and lack of sensation over the lateral aspect forearm; nerve injured is:
1. Radial nerve
2. Musculocutaneous nerve
3. Axillary nerve
4. Ulnar nerve

Correct answer: 2. Musculocutaneous nerve

Explanation: B i.e. Musculocutaneous nerve Flexion of the elbow is caused by biceps brachii (musculo cutaneous nerve), brachialis ( muscolo cutaneous nerve) and branchioradialis (radial nerve)Q. So the nerve injured may be either musculocutaneus or radial. So lets see the cutaneous nerve supply of these nerves.